FNAC can diagnose all of the following thyroid lesions except
1. Anaplastic carcinoma
2. Papillary carcinoma
3. Follicular carcinoma
4. Medullary carcinoma

Correct answer: 3. Follicular carcinoma

Explanation: Ans. (c) Follicular carcinomaRef: Bailey & Love 24th/ 785y Schwartz 8th /1420* FNA biopsy is unable to distinguish benign follicular lesions from follicular carcinoma. Therefore, preoperative diagnosis of cancer is difficult unless distant metastases are present. Large follicular tumors (>4cm) in older men are more likely to be malignant. --Schwartz Surgery* FNAC is the investigation of choice for solitary thyroid nodules.* It cannot distinguish between a follicular Adenoma and a Follicular Carcinoma as this distinction is dependent not on cytology but on histological criteria such as capsular and vascular invasion. It therefore cannot be used to diagnose follicular carcinomas.